Not A sexually transmitted disease-
1. Pinta
2. Candidiasis
3. HBV
4. Trichomonisis

Correct answer: 1. Pinta

Explanation: Pints, yaws and endemic syphilis constitute a group of distinct spirochetal infection that are known as the endemic non venereal treponematoses. Transmission occurs from skin to skin contact rather than sexual contact. All the other drugs given can be transmitted sexually. From Fitzpatrick dermatology in general medicine7th edition page no 1977